Jowar is pellogerogenic due to excess of -
1. Leucine
2. Lysine
3. Tryptophan
4. Methionine

Correct answer: 1. Leucine

Explanation: - niacin deficiency results in pellagra. The disease is characterized by diarrhea, dermatitis and dementia. - niacin deficiency is common in jowar eating population due to aminoacid imbalance cause by an excess of leucine. - excess of leucine appears to interfere in the conversion of tryptophan to niacin. Reference: Park's textbook of preventive and social medicine, 23rd edition, pg no:619